Which statements is not true regarding acute starvation?
1. Increased Lipolysis
2. Increased gluconeogenesis in liver
3. Only ketone bodies utilized by brain for energy
4. Increased glycogenolysis in liver

Correct answer: 3. Only ketone bodies utilized by brain for energy

Explanation: In starvation: Increased Lipolysis Increased gluconeogenesis in liver andIncreased glycogenolysis in liverIn fasting and starvation, glucose must be provided for the brain and red blood cells; in the early fasting state, this is supplied from glycogen reserves.In order to spare glucose, muscle and other tissues do not take up glucose when insulin secretion is low; they utilize fatty acids (and later ketone bodies) as their preferred fuelRef: Harper 27e pg: 149